Thickness of stomach wall in ultrasound is considered within normal limits:
1. 2 mm
2. 5 mm
3. 8 mm
4. 10 mm

Correct answer: 2. 5 mm

Explanation: The normal stomach wall measures 3 to 5 mm; however, wall thickness up to 7 mm is considered within normal limits because adequate distension is difficult to achieve on conventional sonography. Thickening can be due to neoplastic or inflammatory causes, and thickening of greater than 1 cm is generally considered to be due to malignancy.